Ocular bobbing-
1. Midbrain
2. Pons
3. Medulla
4. Cortex

Correct answer: 2. Pons

Explanation: Ocular bobbing centre is pons. Characterised by conjugate eye movements, beginning with a fast downward movement followed by slow drift back to midline. Causes: comatose patient with massive pontine lesion Metabolic encephalopathy.